Which of the following has highest electrophoretic mobility towards Anode
1. Chylomicrons
2. LDL
3. VLDL
4. HDL

Correct answer: 4. HDL

Explanation: High density lipoprotein molecules have highest electrophoretic mobility. It has least lipid content and highest protein content.